An elederly male presented with headache, fever and hemiparasis of right side. On further examination and investigation a diagnosis of brain abscess was made. Which of the following antibacterial/ antibacterials is effective in this patient -
1. Gentamycin
2. Doxycycline
3. Streptomycin
4. A combination of Cephalosporin and Metronidazole

Correct answer: 4. A combination of Cephalosporin and Metronidazole